Most powerful example of social cohesion is
1. Mob
2. Hospital
3. Family
4. Herd

Correct answer: 3. Family

Explanation: Family: Is a group of biologically related individuals living together and eating from a common kitchen Family is the primary unit of all societies Family is the 'most powerful example of social cohesion' Crowd: A group of people coming together temporarily for a short period, motivated by a common interest or curiosity Crowd lacks internal organisation and leadership Mob: A group of people coming together temporarily for a short period, having a leader who forces members into action Mob is more emotional than crowd Like crowd, mob is unstable and lacks internal organisation Herd: Is a crowd with a leader, where members of the group have to follow the orders of the leader without question Ref: Park 25th edition Pgno: 719